Subacute sclerosing panencephalitis virus (SSPE) is best described by which of the following statements?
1. It is a progressive disease involving both white and gray matter
2. It is a late CNS manifestation of mumps
3. It is a common event occurring in 1 of 300,000 cases of mumps
4. Viral DNA can be demonstrated in brain cells

Correct answer: 1. It is a progressive disease involving both white and gray matter

Explanation: SSPE is a late and rare manifestation of measles. It is a progressive encephalitis involving both white and gray matter. Demyelination is seen only at an advanced stage of the disease in a few cases. In 1985, viral RNA was demonstrated in brain cells from a patient with SSPE by the use of in situ hybridization.